The following is a passive process
1. Diffusion
2. Facilitated diffusion
3. Secondary active transport
4. Both 1 and 2

Correct answer: 4. Both 1 and 2

Explanation: Passive transport include: diffusion, facilitated diffusion Active transport include primary active transport, secondary active transport, vesicular transport.